The choice of antihypertensive depends upon the co-morbid illness of the patient and all of the following recommendations have been made EXCEPT
1. In hypertensive patients with heart failure, ACE inhibitors may be preferred
2. In hypertensive patients with migraines, beta blockers ,are an excellent choice
3. In hypertensive patients with gout, diuretics are particularly useful
4. In hypertensive patients with peripheral vascular disease, calcium channel blockers are recommended

Correct answer: 3. In hypertensive patients with gout, diuretics are particularly useful

Explanation: Secondary hyperuricemia occurs in: Drug induced-thiazides, furosemide, pyrazinamide, ethambutol, levodopa, clofibrate reduce uric acid excretion by the kidney. so diuretics should not be used in gout with HTN ESSENTIALS OF PHARMACOLOGY 6TH EDITION PG NO: 205